Duration of treatment in multibacillary leprosy according to WHO is -
1. 6 months
2. 1 year
3. 2 years
4. 5 years

Correct answer: 2. 1 year

Explanation: Ans. is 'b' i.e., 1 year